Blood in the splanchnic area during exercise is decreased due to
1. Venoconstriction with decreased blood flow
2. Venodilation with decreased blood flow
3. Venodilation with increased blood flow
4. Venodilation with normal blood flow

Correct answer: 1. Venoconstriction with decreased blood flow

Explanation: During exercise, there is vasodilation in the skeletal muscles and myocardium, whereas in the splanchnic area, the sympathetic activity causes vasoconstriction. This results in diversion of more blood to the skeletal muscles and myocardium.